Shadow casting is done in
1. Light microscopy
2. Electron microscopy
3. Dark field microscopy
4. Atomic force microscopy

Correct answer: 2. Electron microscopy

Explanation: Shadow casting - specimen is coated with a thin film of platinum or other heavy metals to increase the contrast of Electron microscope.